A 40-year-old man has been diagnosed with autosomal dominant polycystic kidney disease. How should the cysts be present in USG to call it ADPKD?
1. 1 cyst per kidney
2. 2 cysts per kidney
3. 3 cysts per kidney
4. 4 cysts per kidney

Correct answer: 2. 2 cysts per kidney

Explanation: Diagnostic criteria for ADPKD Age (years ) Number of Cysts 15-29 2 renal cysts (unilateral or bilateral) 30-59 2 cysts per kidney >60 4 cysts per kidney